Muehrcke lines in nails are seen in
1. Nephrotic syndrome
2. Barer syndrome
3. Nail patella syndrome
4. Acute tubular necrosis

Correct answer: 1. Nephrotic syndrome

Explanation: Ans. is 'a' i.e., Nephrotic syndrome